Urogenital diaphragm is made up of the following, except
1. Deep transverse Perineus
2. Perinial membrane
3. Colle's fascia
4. Sphincter urethrae

Correct answer: 3. Colle's fascia

Explanation: The muscles of the male and female urogenital diaphragm include the following: superficial transverse perineal, bulbospongiosus muscle, ischiocavernosus muscle, sphincter of urethrae. ref - Semantischolar.org